The major antigenic determinant of H.influenzae is?
1. 'IVY protein
2. Capsular polysaccharide
3. Catalase
4. Coagulase

Correct answer: 2. Capsular polysaccharide

Explanation: Ans. is `b' i.e., Capsular polysaccharide